Bronze diabetes is seen in-
1. Wilson's disease
2. Sarcoidosis
3. Lead intoxication
4. Hemochromatosis

Correct answer: 4. Hemochromatosis

Explanation: Ans. is 'd' i.e., Hemochromatosis o In hemochromatosis deposition of iron in the skin causes pigmentation (bronzing) of the skin and deposition of iron in the pancreas produces diabetes therefore the term bronze diabetes.o The clinical features of hemochromatosis are characterized principally by deposition of excess iron in the following organs in decreasing order of severity.Liver ( 95%)o Usually the first organ to be affected,o Hepatomegaly seen in most of the cases,o Micronodular cirrhosis is characteristico Hepatocellular carcinoma develops in 30% patientsSkin (90%)o Excessive skin pigmentation (Bronzing of the skin)o Skin pigmentation results partially due to hemosiderin deposition and mainly due to melanin depositiono Usually diffuse or generalized, but more pronounced on the face, neck and extensor aspects of lower forearmsPancreas (65%)o Leads to diabetes meilitusJoints (25-50%)o Arthropathyo PolyarthritisCardiaco Congestive heart failureo Arryhthmiao Cardiomyopathy (Restrictive)Hypogonadismo These changes are primarily the result of decreased production of gonadotropins due to impairment of hypothalamic-pituitary function by iron deposition however, primary testicular dysfunction may be seen in some cases